Which of the following is a rho-kinase inhibitor?
1. Ranolazine
2. Fasudil
3. Nicorandil
4. Amiloride

Correct answer: 2. Fasudil

Explanation: Drug MOA FASUDIL- Used for treatment of Angina. NETARSUDIL- Approved for Glaucoma treatment. RHO KINASE INHIBITOR(Causes vasodilation) RANOLAZINE FA metabolism inhibition + Late Na+channel blocker. NICORANDIL NO releaser + K+channel opener. AMILORIDE Epithelial Na+ channel blocker